Paranasal sinus which can be visualized best on a occipito-frontal view is:
1. Frontal sinus
2. Ethmoidal sinus
3. Sphenoid sinus
4. Maxillary sinus

Correct answer: 1. Frontal sinus

Explanation: Ans. A: Frontal Sinus Caldwell-Luc/ occipito-frontal view shows: Frontal sinus (Best visualization) Superior orbital fissure Superior marginof orbit and lamina papyracea Foramen rotundum Maxillary and ethmoid sinus